Minamata disease is caused by toxicity of:
1. Arsenic
2. Antimony
3. Lead
4. Mercury

Correct answer: 4. Mercury

Explanation: A significant example of mercury exposure affecting public health occurred in Minamata, Japan, between 1932 and 1968, where a factory producing acetic acid discharged waste liquid into Minamata Bay. The discharge included high concentrations of methylmercury. The bay was rich in fish and shellfish, providing the main livelihood for local residents and fishermen from other areas. For many years, no one realised that the fish were contaminated with mercury, and that it was causing a strange disease in the local community and in other districts. At least 50 000 people were affected to some extent and more than 2 000 cases of Minamata disease were certified. Minamata disease peaked in the 1950s, with severe cases suffering brain damage, paralysis, incoherent speech and delirium. Ref :